Transitional epithelium is seen in all except
1. Collecting duct
2. Calyces
3. Ureter
4. Bladder

Correct answer: 1. Collecting duct

Explanation: A i.e. Collecting ductOlfactory epithelium is pseudostratified non ciliated columnar without goblet cellsQ.Duct of sebaceous gland is lined by stratified squamous epitheliumQ.; whereas ducts of sweat gland, salivary gland & pancreatic duct is lined by stratified cuboidal epithelium.Non Keratinized Stratified Squamous Epithelium is seen in corneaQ, vagina & upper gastrointestinal trat i.e. mouth, tongue, tonsilQ & pharynx.Basal layer of cells in stratified squamous epithelium is cuboidal to columnar. Nonkeratinized stratified squamous epithelium may be partially keratinized (= parakeratinized) d/t abrasion; vitamin A deficiencyQ also lit keratinization.Gall bladder has simple columnar epithelium with brush borderQ. Collecting duct has simple columnar/cuboidal liningQ; whereas lung alveoli & Bowman's capsule have simple squamous epitheliumQ.